Validity includes -
1. Sensitivity and specificity
2. Precision
3. Acceptibility
4. None

Correct answer: 1. Sensitivity and specificity

Explanation: Ans. is 'a' i.e., Sensitivity and specificity Screening test to be appliedo The screening test to be applied should fulfil the following important criteria before it is considered suitable for screening: -AcceptabilityThe test should be acceptable to the people at whom it is aimed.In general painful or embarrasing tests e.g., per rectal or vaginal examination are not likely to be acceptable.Repeatability (reliability)Repeatability means, the test must give consistent results when it is repeated more than once on the same individual under same conditions.That means the results of test are precise (exact). So repeatability is some time called precision, reliability or reproducibility.3 Validity (accuracy)Validity refers to what extent the test accurately measures which is purports to measures.That means a valid test distinguish the people who have the disease from those who do not.Validity has components - Sensitivity and specificity.4 Ohers# Simplicity# Rapidity# Ease of administration# Safety# Low cost